Color of tuberous sclerosis lesions on wood lamp examination -
1. Bright green
2. Milky white
3. Golden yellow
4. Blue white

Correct answer: 4. Blue white

Explanation: WOOD'S LAMP Hand held device used to diagnose various dermatological conditions. It is a mercury vapour long wave,ultraviolet lamp with an inbuilt wood's filter made of barium silicate with 9% nickel oxide. Opaque to all wavelengths except those between 320 nm and 400 nm with a peak at 365 nm. Flourescence occurs when wood's light is absorbed and radiation of longer wavelengths is emitted. Examination done in dark room. Tuberous sclerosis gives a bluish white flourescence with wood's lamp examination.The macules with their long axis longitudinally distributed on the limbs and transversly on the trunk are seen more on wood's lamp examination. other lesions that are prominently Seen in woods lamp pityriasis versicolor, pityriasis alba, ash leaf macules of tuberous sclerosis Iadvl textbook of dermatology page 109